Hormone acting by genetic modification is
1. Insulin
2. Thyroxine
3. GH
4. ACTH

Correct answer: 2. Thyroxine

Explanation: Thyroxine is a thyroid hormone that contains iodine and is a derivative of the amino acid tyrosine, occurring naturally as l-thyroxine; its chemical name is tetraiodothyronine. It is formed and stored in the thyroid follicles as thyroglobulin and released from the gland by the action of a proteolytic enzyme. It is deiodinated in peripheral tissues to form triiodothyronine (T3), which has a greater biological activity.Ref: Ganong's review of medical physiology; 24th edition; page no: 300